Selective serotonin reuptake inhibitors are drugs of choice for all of the following conditions except:
1. Acute panic attack
2. Social phobia
3. Post traumatic stress disorder
4. Generalized anxiety disorder

Correct answer: 1. Acute panic attack

Explanation: Ref: KDT 6/e p448,449 *SSRIs are drug of choice for depression,sustained treatment of panic disorder and generalized anxiety disorder, obsessive compulsive disorder, post-traumatic stress disorder, social and other phobia and bulimia. *In acute panic attacks and for acute treatment of generalized anxiety disorder, benzodiazepines are preferred.